Ipilimumab is a
1. Anti CD30 Monoclonal Antibody
2. PDL1 receptor inhibitor
3. CTLA4 inhibitor
4. PTPN22 inhibitor

Correct answer: 3. CTLA4 inhibitor

Explanation: Ipilimumab and Tremelimumab are CTLA4 inhibitors used in BRAF -ve malignant melanoma.